Most specific antibody in SLE is -
1. Anti nuclear
2. Anti Sm
3. Anti Ro
4. Anti histone

Correct answer: 2. Anti Sm

Explanation: Ans. is 'b' i.e., Anti Sm Auto anti bodies in Systemic Lupus Erythematosuso Antinuclear antibody-best screening test.o Anti DS DNA antibody-Specific for SLE only in high litres.o Anti Smantbody-Specific for SLE.o Anti Ro (SS - A) antibody-Predisposes to Sicca syndrome, subacute cutaneous lupus and neonatal lupus with congenital heart block.o Anti histone antibody-Associated with drug induced lupus.